Pointing finger injury is due to injury of which nerve?
1. Radial nerve
2. Ulnar nerve
3. Median nerve
4. Axillary nerve

Correct answer: 3. Median nerve

Explanation: Ans. C Median nerveRef: BDC, 6th ed. vol. I pg. 126-127, Vol-1 pg. 109,159; Clinical anatomy, Vishram Singh/58* Median nerve is the main nerve of the front of the forearm. It also supplies the muscles of thenar eminence.* Median nerve aka laborer's nerve as it supplies most of the long muscles of the front of forearm.Extra Mile* Deformities that may occur due to median nerve paralysis:# Carpal tunnel syndrome# Pointing index finger# Ape thumb deformity aka ape hand deformity# Claw hand (median + ulnar)* Deformities that may occur due to radial nerve paralysis# Wrist drop# Saturday night palsy* Deformities that may occur due to ulnar nerve paralysis# Ulnar claw hand# Cubital tunnel syndrome